Cytomegalovirus (CMV) infection is common. Which one of the following statements best characterizes CMV?
1. It can be transmitted across the placental barrier
2. While a common infection, CMV is almost always symptomatic
3. The CMV can be cultured from red blood cells of infected patients
4. Unlike other viral infections, CMV is not activated by immunosuppressive therapy

Correct answer: 1. It can be transmitted across the placental barrier

Explanation: Although infection with cytomegalovirus (CMV) is common, it only rarely causes clinically apparent disease. Lesions characteristic of infection with CMV are found in up to 10% of stillborn babies; however, CMV, which can be transmitted trans placentally, usually is not the cause of death. Children and adults with immunosuppressive problems are susceptible to active disease. In severely immunodeficient patients such as those with AIDS, CMV ocular disease may occur. The patient suffers blurring of vision or vision loss, and ophthalmic examination reveals large yellowish-white areas with flame-shaped hemorrhages. Ganciclovir is now licensed for treatment of CMV retinitis in AIDS patients.